Cystic hygroma is known to occur in all except
1. Calf
2. Neck
3. Axilla
4. Mediastinum

Correct answer: 1. Calf

Explanation: Ans. a (Calf). (Ref. LB, 25th/ 729)Cystic hygroma (Cavernous lymphangioma)# It is a benign cyst seen most commonly in neck; other sites include axilla, groin, cheek and mediastinum.# It is supposed to be congenital due to sequestration of lymphatics (of portion of jugular lymph sac).# It is brilliantly translucent swelling common in anterior triangle of neck.# It usually presents in neonates or early infancy, occasionally at birth and can be so large to obstruct labour or cause intrauterine hydrops fetalis and death.# Swelling may involve parotid, submandibular gland, tongue and floor of mouth.# It may be bilateral.# It may undergo spontaneous regression.# The cysts are filled with clear lymph and lined with a single layer of epithelium with mosaic appearance.# Excision of cyst with excision of all lymphatics bearing tissue is treatment of choice.# Sclerosants should be avoided. Recurrence is common with percutaneous picibanil & other sclerosants.